Most common organs involved in Wegener's granulomatosis are:
1. Skin and nose
2. Lung and kidney
3. Heart and kidney
4. Kidney and nervous system

Correct answer: 2. Lung and kidney

Explanation: * Wegener granulomatosis also known as Granulomatosis with polyangiitis * The most common organs involved in Wegener's are lungs and kidneys. * PR3-ANCAs are also present in maximum cases. * PR3 ANCAs are useful markers of disease activity * Histological features : -Upper respiratory tract : lesions shows granulomas with central necrosis and accompanying vasculitis. -Kidney : Focal necrotizing and often crescentic glomerulonephritis.